Routine spirometry can't estimatea)  FRCb)  VCc)  RVd)  ERVe)  FEV1
1. a
2. bc
3. ad
4. ac

Correct answer: 4. ac

Explanation: Direct measurement can be done by Spirometry for
-        TV, IRV, ERV, VC, Forced vital capacity, FEV1
Direct measurement by spirometry cannot be done for
 
-        RV, FRC, TLC